All of the following side effects are seen with Ipratropium bromide except -
1. Urinary retention
2. Dryness of mouth
3. Scratching in trachea
4. Bad taste

Correct answer: 1. Urinary retention

Explanation: Ans. is 'a' i.e., Urinary retention Transient local side effects of ipratropium bromide are : Dryness of mouth o Cough Nervousness Scratching of trachea o Bad taste